Abciximab is :
1. Antibody against Ilb/Illa receptors
2. Antibody against Ib/IX receptors
3. Topoisomerase inhibitor
4. Adenosine inhibitor

Correct answer: 1. Antibody against Ilb/Illa receptors